Not a content of sphenopalatine fossa
1. Maxillary Artery
2. Maxillary nerve
3. Mandibular nerve
4. Pterygopalatina ganglion

Correct answer: 3. Mandibular nerve